Following statements regarding gonadotropins are true, except:
1. Their levels are low in menopausal women
2. Their excess production in adult women may cause polycystic ovaries
3. They are administered intramuscularly
4. There is a marked increase in their levels before ovulation

Correct answer: 1. Their levels are low in menopausal women

Explanation: Gonadotropins (follicle stimulating hormone and luteinizing hormone) act in concert to promote gametogenesis. Excess of gonadotropins causes ovarian hyperstimulation and polycystic ovaries in adult women. They are subjected to negative feedback by gonadal hormones. Their levels are thus high in postmenopausal women due to reduced sex steroids. Before ovulation, the gonadal hormones exert a positive feedback effect and there is increase in their levels. Their route of administration is intramuscular.